Weakest support of uterus is -
1. Uterosacral ligament
2. Round ligament
3. Broad ligament
4. Levator ani

Correct answer: 3. Broad ligament

Explanation: Secondary support of uterus includes broad ligament, uterovesical fold and rectovaginal fold of peritoneum. These secondary supports are of doubtful value. SO they are the weakest support of uterus.